Posterior longitudinal ligament continues as-
1. Apical ligament
2. Alar ligament
3. Membrana tectoria
4. transverse ligament

Correct answer: 3. Membrana tectoria

Explanation: Ans. is 'c' i.e., Membrana tectoria * The posterior longitudinal ligament is situated within the vertebral canal, and extends along the posterior surfaces of the bodies of the vertebrae.* It starts from the body of the axis, where it is continuous with the membrana tectoria and continues to the sacrum.